Lateral border of cubital fossa is formed by?
1. Pronator teres
2. Brachioradialis
3. Supinator
4. Brachialis

Correct answer: 2. Brachioradialis

Explanation: Ans. is 'b' i.e., Brachioradialis